The enzyme responsible for unwinding of DNA is
1. DNA Ligase
2. Helicase
3. DNA primase
4. Topoisomerases

Correct answer: 2. Helicase

Explanation: Classes of Proteins Involved in Replication Protein Function DNA polymerases Deoxynucleotide polymerization Helicases ATP -driven processive unwinding of DNA Topoisomerases Relieve torsional strain that results from helicase-induced unwinding DNA primase Initiates synthesis of RNA primers Single-strand binding proteins (SSBs) Prevent premature reannealing of dsDNA DNA ligase Seals the single strand nick between the nascent chain and Okazaki fragments on lagging strand Harper30e pg: 378